Mechanism of 2-4 Dinitrophenol is -
1. Inhibition of both ATP synthesis and ETC
2. Inhibition of ATP synthesis only not ETC
3. Inhibition of only ETC not ATP synthesis
4. None of the above

Correct answer: 2. Inhibition of ATP synthesis only not ETC

Explanation: Ans. is 'b'i.e., Inhibition of ATP synthesis only not ETC o Has been explained in previous session